Vulval candidiasis is associated with:
1. Addison's disease
2. Cushing's disease
3. Diabetes mellitus
4. Acromegaly

Correct answer: 3. Diabetes mellitus

Explanation: Ans. C i.e. Diabetes mellitus